All are the contraindications for vaginal birth after previous caesarean except:
1. Previous classical uterine incision
2. Previous lower segment transverse caesarean
3. Presence of inverted 'T' shaped uterine incision
4. Where facilities for emergency caesareans are not available

Correct answer: 2. Previous lower segment transverse caesarean

Explanation: Previous 2 LSCs and not a single one is a C/I for VBAC.